Transmission assessment survey is for?
1. Plasmodium vivax
2. Plasmodium falciparum
3. Leishmania donovani
4. Wuchereria bancrofti

Correct answer: 4. Wuchereria bancrofti

Explanation: TAS or Transmission Assessment Survey is done for lymphatic Filariasis - caused by Wuchereria bancrofti. The line listing of lymphoedema and hydrocele cases were initiated since 2004 by door-to-door survey in filaria endemic districts. The updated figure till December 2014 reveals about 12 lac cases with clinical manifestation of lymphoedema (8 lacs) and hydrocele (4 lacs). Initiation has also been taken to demonstrate the simple washing of foot to maintain hygiene for prevention of secondary bacterial and fungal infection in chronic lymphoedema cases, so that the patients get relief from frequent acute attacks. Extra edge: - Criteria for Elimination of lymphatic filariasis : Microfilaria carriers being < 1% of population. Children born after initiation of ELF are free from circulating antigenaemia (presence of adult filaria worm in human body). - WHO recommends triple therapy of Ivermectin + Diethylcarbamazine + albendazole to achieve the target, set to eliminate lymphatic filariasis by 2020.